In 29 days menstrual cycle ovulation takes place at?
1. 14th day
2. 15th day
3. 16th day
4. 17th day

Correct answer: 2. 15th day

Explanation: ANSWER: (B) 15th dayREF: Ganong's 22nd ed p.434In a menstrual cycle the post ovulatory days remains constant, hence to calculate the day of ovulation substract 14 from the total days of cycle; i.e. in a 29 days cycle ovulation takes place on 15th day (29-14),